A 52-year-old man comes with jaundice and extrapyramidal symptoms. On ophthalmic examination, the below finding is noted. The treatment is:
1. BAL
2. Penicillamine
3. Calcium edetate
4. Desferrioxamine

Correct answer: 2. Penicillamine

Explanation: Ans. (B). PenicillamineThe picture shows KF ring in eye, a feature of wilsons disease.KF ring: Brownish-yellow ring visible around the corneo-scleral junction (limbus).Consists of copper deposits in Descemet's membrane, extending into the trabecular meshwork.Sign of Wilson's disease.Oral Pencillamine is the drug of choice.Tirentine is the alternate drug.